True for pomeroy's technique of tubal ligation is?
1. Failure rate is higher than other methods
2. It involves ligation and burying the proximal end of tube
3. Site of ligation is distal 1/3rd of the tube
4. It is the commonly used technique of open/ minilap tubal ligation

Correct answer: 4. It is the commonly used technique of open/ minilap tubal ligation

Explanation: Failure rate in pomeroy's technique is 1 to 4 in 1000 Pomeroy Procedure is the method of dividing the tube. Plain catgut is used to ligate the knuckle of tube to ensure prompt absorption of the ligature and subsequent separation of the severed tubal ends Site of ligation is the junction of proximal and middle 1/3rd of the tube or mid portion of tube. Pomeroy's and Modified pomeroy's are commonly performed techniques of open and minilap ligation